Domestic squalor is related to which of the following disorder?
1. Somatoform disorder
2. Body dysmorphic disorder
3. Hoarding disorder
4. Olfactory reference syndrome

Correct answer: 3. Hoarding disorder

Explanation: Domestic squalor Associated with Hoarding Disorder. When a person's living place is so unclean and unhygienic, that people of similar culture would consider extensive clearing to be done.